Hard palate lining contains
1. Keratinized mucosa, absent submucosal layer, minor salivary glands
2. Keratinized mucosa, submucosal layer, minor salivary glands
3. Non-keratinized mucosa, submucosal layer, minor salivary glands
4. Non-keratinized mucosa, absent submucosal layer, minor salivary glands

Correct answer: 2. Keratinized mucosa, submucosal layer, minor salivary glands

Explanation: Palate -Roof of oral cavity Hard palate anteriorly Soft palate posteriorly Hard Palate Anterior fatty zone Posterior glandular zone may have some salivary gland Submucosa - absent in midline raphe of hard palate and gingiva. Palate is covered by a thick ortho- keratinised stratified squamous epithelium supported densely by collagenous lamina propria Mucosa of the hard palate is bound to underlying bone by relatively dense submucosal tissue with a few accessory salivary glands.